A 32 year old soldier is brought to casualty after a generalised seizure. After awakening he gives history of loss of consciousness  twice in the past 2 years. He is otherwise healthy and general physical examination reveals no abnormalities. CT scan with contrast reveals two small hyperintense foci in the right frontal lobe , as well as a 1cm cystic lesion with a nodular focus within it in the left frontal region. The cyst wall of the latter enhances with contrast. The two right lesions do not enhance. The most likely diagnosis?
1. Tabes dorsalis
2. PMLE
3. Neurocysticercosis
4. Bartonella henselae encephalitis

Correct answer: 3. Neurocysticercosis

Explanation: The lesions described are typical of neurocysticercosis caused by taenia solium